Ther term 'free association' is coined by -
1. Freud
2. Adler
3. Erikson
4. Juna

Correct answer: 1. Freud